Broca's aphasia is?
1. Fluent aphasia
2. Non fluent aphasia
3. Sensory aphasia
4. Conduction aphasia

Correct answer: 2. Non fluent aphasia

Explanation: Answer is B (Non-fluent Aphasia): Broca's Aphasia is a Non-Fluent Expressive (Motor) Aphasia with preserved comprehension and impaired repetition